Most severe of the conjunctivitis of newborns is by infection of:
1. Chlamydia
2. N. Gonorrhoeae
3. Staphylococcus
4. Pneumococcus

Correct answer: 2. N. Gonorrhoeae

Explanation: N. Gonorrhoeae conjunctivitis is most severe. Features Hyperacute Swollen eyelids Chemosis, mucopurulent sticky discharge. May lead to corneal involvement, iridocyclitis and septicemia. Systemic therapy with 3rd generation cephalosporin should be started immediately. Topical antibiotic therapy and atropine should be started in case of iridocyclitis.